Hepatomegaly is a feature of all of the following, EXCEPT:
1. Hurler's Disease
2. Hepatic porphyrias
3. Von Gierke's Disease
4. Nieman Pick Disease

Correct answer: 2. Hepatic porphyrias

Explanation: Frank Hepatomegaly is rare in hepatic porphyrias. Although hepatomegaly may occasionally be seen in hepatic porphyrias, frank hepatomegaly is rare and not a prominent manifestation of hepatic porphyria. Hepatic porphyria is therefore the single best answer by exclusion. Hepatomegaly is a prominent manifestation of Hurler's syndrome, Nieman Pick disease and Von Girke's Disease. Ref: Harrison's Internal Medicine, 16th Edition, Pages 2316, 2320; Oxford Textbook of Medicine, 4th Edition, Page 69; Gastrointestinal and Liver Disease By Feldman, 8th Edition, Page 1623; Harrison's Principles of Internal Medicine, 18th Edition, Chapters 361-362